Commonest operation done for peptic ulcer with gastric outlet obstruction is:
1. Truncal vagotomy with pyloroplasty
2. Highlyselective vagatomy with pyloroplasty
3. Truncal vagotomy with gastrojejunostomy
4. Gastrojejunostomy

Correct answer: 3. Truncal vagotomy with gastrojejunostomy

Explanation: Ans: c (Truncal vagotomy with gastrojejunostomy)Ref: Schwartz, 8th ed, p. 961